Lambda is meeting point of:
1. Coronal and sagittal suture
2. Coronal and lambdoid suture
3. Sagittal and lambdoid suture
4. None of the above

Correct answer: 3. Sagittal and lambdoid suture

Explanation: The lambda is the meeting point between the sagittal and lambdoid sutures. In the foetal skull, this is the site of the posterior fontanelle which closes at two to three months of age.